Type I RPGN is seen in
1. Cryoglobulinemia
2. SLE
3. Goodpasture's syndrome
4. Wegner's granulomatosis

Correct answer: 3. Goodpasture's syndrome

Explanation: Type I RPGN is anti - GBM mediated and it is seen in Goodpasture's syndrome.